Hysteroscopy is used in all EXCEPT :
1. Uterine synechiae
2. Abnormal vaginal bleeding
3. Infertility
4. None

Correct answer: 4. None